A patient presents to a physician because of pain during defecation accompanied by blood in the stool. Physical examination demonstrates a large perianal mass. Pathologic examination of the rectal mass following resection demonstrates a condyloma in which transformation to frank carcinoma has occurred. Which of the following viruses would most likely be associated with these lesions?
1. Epstein-Barr virus (EBV)
2. Hepatitis B virus (HBV)
3. Human herpesvirus type 8 (HHV8)
4. Human papillomavirus (HPV)

Correct answer: 4. Human papillomavirus (HPV)

Explanation: The tumor is anal carcinoma arising in a condyloma. Both condyloma and anal carcinoma are related to human papilloma virus (HPV), which is also associated with cervical and penile condylomas and carcinomas. EBV is associated with Burkitt's lymphoma and nasopharyngeal carcinoma. HBV is associated with hepatocellular carcinoma. HHV 8 is associated with Kaposi's sarcoma. Ref: Ray C.G., Ryan K.J. (2010). Chapter 19. Papilloma and Polyoma Viruses. In C.G. Ray, K.J. Ryan (Eds), Sherris Medical Microbiology, 5e.